Which of the following pockets offers best chance for bone regeneration:
1. Suprabony pocket
2. One - wall infrabony pocket
3. Two - wall infrabony pocket
4. Three - wall infrabony pocket

Correct answer: 4. Three - wall infrabony pocket